Over jet is defined as:
1. Horizontal overlap
2. Vertical overlap
3. Transverse plane discrepancy
4. All the above

Correct answer: 1. Horizontal overlap